Brain space occupying lesions causes death by -
1. Acute Hypertension
2. Brain herniation
3. Cushing syndrome
4. Hypotension

Correct answer: 2. Brain herniation